Nux vomica seeds contain 2 alkaloids, strychine and-
1. Hyoscine
2. Hyoscyamine
3. Brucine
4. Atropine

Correct answer: 3. Brucine

Explanation: Nux vomica seeds contain strychine, brucine and loganin.